The characteristic alarm clock headache is a feature of
1. Auriculotemporal Neuralgia
2. Trigeminal Neuralgia
3. SphenopaLatine Neuralgia
4. Glossopharyngeal Neuralgia

Correct answer: 3. SphenopaLatine Neuralgia